Which of the following parasite is/are ovoviviparous?
1. Strongyloides stercoralis
2. Enterobius vermicularis
3. Trichuris trichura
4. Dracunculus medinensis

Correct answer: 1. Strongyloides stercoralis

Explanation: Ans. a (Strongyloides stercoralis) (Ref. Chaterjee, Parasitology 12th ed., 159)VIVIPAROUS (Gives birth to larvae)OVIPAROUS (laying eggs) (Mnemonic- ATANE....)OVOVIVIPAROUS(Laying eggs containing larvae, which are immediately hatched)D. medinensisA. duodenaleStrongyloides stercoralisW. bancroftiT. trichura B. malayiA. lumbricoides T. spiralisN. americanusE. vermicularis